Congenital rubella syndrome (CRS) is associated with all of the following EXCEPT?
1. Cataract
2. Sensory neural hearing loss
3. Congenital heart disease
4. Cherry Red spot

Correct answer: 4. Cherry Red spot

Explanation: Cherry Red spot- not seen in congenital rubella syndrome. Congenital rubella syndrome (CRS) includes:-> Gregg's triad: Cataract Deafness (Sensorineural hearing loss) Congenital heart disease (Most common- PDA and less common-ASD) Rubella (German measles or 3-Day Measles) Mild , exanthematous disease Incubation period: 14-21 days Prodrome of low- grade fever, sore throat , red eyes, headache and lymphadenopathy Rash begins on face and neck and spread centrifugally Forchheimer spots on soft palate may be present